A patient suffering from AIDS presents with history of dyspnea and non- productive cough x-ray shows bilateral perihilar opacities without pleural effusion and lymphaden-opathy. Most probable etiological agent is :
1. Tuberculosis
2. CMV
3. Kaposis sarcoma
4. Pneumocystis carinii

Correct answer: 4. Pneumocystis carinii

Explanation: D i.e. Pneumocystic carinii